The purpose of beading of the major connector is/are:
1. To ensure intimate tissue contact.
2. To provide visible finishing line for the casting.
3. To transfer the major connector design to the investment.
4. All of the above.

Correct answer: 4. All of the above.